Atherosclerosis in the coronary circulation most commonly affects -
1. Left anterior descending artery
2. Left circumflex
3. Right coronary
4. All of the above

Correct answer: 1. Left anterior descending artery